The basal forebrain nuclei and the pedunculopontine nuclei are similar in that neurons within them
1. Are major inputs to the striatum
2. Receive innervation from the cingulate gyrus
3. Process information related to language construction
4. Utilize acetylcholine as their neurotransmitter

Correct answer: 4. Utilize acetylcholine as their neurotransmitter